A bacterial disease that has been associated with the 3 "R" s ie Rats , rice fields and rainfall is
1. Plague
2. Melioidosis
3. Rodent bite fever
4. Leptospirosis

Correct answer: 4. Leptospirosis

Explanation: Rats , rice fields and rainfall is associated with LeptospirosisRats and rat flea - Plague Rats (Rodent ) bite fever - Spirillum minus and Streptobacillus monoliformis Rice fields and rain - Melioidosis